Whipple's triad is seen in
1. Gastrinoma
2. Insulinoma
3. Vipomas
4. Somatostatinoma

Correct answer: 2. Insulinoma

Explanation: (Insulinoma) (2180, 2221-H 16th) (1090-CMDT-2009) (2305-6-H17th)WHIPPLE'S TRIAD - is characteristic of hypoglycemiaI. History of hypoglycemic symptomsII. An associated fasting blood-glucose of 40 mg/dl or lessIII. Immediate recovery upon administration of glucose** The hypoglycemia symptoms in Insulinoma often develop in the early morning or after missing a meal* Most common sites of occurrence the incidence of metastases (PETs) varies greatly: Jejuno-ileum (58%) > lung/bronchus (6%) > rectum (4%)* Three phacomatoses associated with NETs are- Von Recklinghausen's disease (Neurofibromatosis type I)- Von Hippel-Lindau disease- Tuberous sclerosis (Boumeville's disease)* In additions to cerebellar hemangioblastomas, renal cell cancer and phaeochromocytomas, 10-17% of these patients develop a PET.** Hypoglycemia unawareness is very common in patients with Insulinoma. They adapt to chronic hypoglycemia by increasing their efficiency in transporting glucose across the BBB.